Following trauma, which hormone is not released-
1. Thyroxine
2. Glucagon
3. ADH
4. GH

Correct answer: 1. Thyroxine